Which of the following drugs is used in the treatment of acute bacterial meningitis?
1. Erythromycin
2. Sulfamethoxazole
3. Ceftriaxone
4. Streptomycin

Correct answer: 3. Ceftriaxone

Explanation: Ceftriaxone: The distinguishing feature of this cephalosporin is its longer duration of action (tllz 8 hr), permitting once, or at the most twice daily dosing. Penetration into CSF is good and elimination occurs equally in urine and bile. Ceftriaxone has shown high efficacy in a wide range of serious infections including bacterial meningitis (especially in children), multiresistant typhoid fever, complicated urinary tract infections, abdominal sepsis and septicaemias. A single dose of 250 mg i.m. has proven curative in gonorrhoea including PPNG, and in chancroid. Hypoprothrombinaemia and bleeding are specific adverse effects. Haemolysis is reported. ESSENTIALS OF MEDICAL PHARMACOLOGY K.D.TRIPATHI SIXTH EDITION PAGE NO:706